Laryngocele arises from
1. True cords
2. Subglottis
3. Saccule of the ventricle
4. Anterior commissure

Correct answer: 3. Saccule of the ventricle

Explanation: Ans. is 'c' i.e. Saccule of the ventricle Repeat from May 05The saccule is a diverticulum of mucous membrane which starts from the anterior part of ventricular cavity and extends upwards between vestibular folds and lamina of thyroid cartilage. When it's abnormally enlarged it forms the air containing sac - the laryngocele.Laryngocele can be classified into three types:Internal - A laryngocele is defined as internal if the dilatation lies within the limits of the thyroid cartilage.External - If the laryngocele extends beyond the thyroid cartilage and protrudes through the thyrohyoid membrane producing a lateral neck mass, it is considered external.Combined - In which both internal and external components are seen.CausesDue to raised trans glottic air pressure as in trumpet players, glass blowers or weight lifters.Clinical symptoms.External laryngocele presents as a reducible swelling in the neck which increases in size on coughing or performing ValsalvaPatient may present with hoarseness, cough, dyspnea, dysphagia or a foreign body sensation.TreatmentIf symptomatic the management would consist of) For small lesion Laryngoscopic decompression.) For larger lesionsSurgical excision through external approach.Laser endoscopic excision.